CD4 cells are involved in all of the following processes, EXCEPT:
1. Acting as a helper function for B cells
2. Processing and presenting antigens
3. Producing and releasing interleukin-2
4. Producing and releasing interferon-gamma

Correct answer: 2. Processing and presenting antigens

Explanation: CD4 cells or T cells, have all of the functions listed except for processing and presenting antigens. Ref: Kuby Immunology, 6th Edition, Page 209